False about antigen drift-
1. Causes pandemic
2. Occurs due to mutation
3. Occurs more frequently
4. Affected by previous antibodies

Correct answer: 1. Causes pandemic

Explanation: Antigenic shift (not drift) is responsible for pandemic.
Antigenic drift occurs due to point mutation.
Antigenic drift occurs more frequently (2-3 years) than antigenic shift (10-15 years).
Antigenic drift is influenced by the presence of antibodies to the predecessor strains in the host population.